In Crohn's disease all are seen except :a) Hyperplastic polypsb) Diverticulosisc) Fissuring ulcerd) Epitheloid granulomae) Crypt abscess
1. ac
2. ab
3. ad
4. bc

Correct answer: 2. ab